Criteria for diagnosis of SIRS is -
1. Heart rate> 90/min
2. Raised CRP
3. Decreased BP
4. Decreased plasma

Correct answer: 1. Heart rate> 90/min

Explanation: Systemic inflammatory response syndrome (SIRS) is an inflammatory state affecting the whole body. It is the body's response to an infectious or noninfectious insult. Although the definition of SIRS refers to it as an "inflammatory" response, it actually has pro- and anti-inflammatory components Ref Davidson 23rd edition pg 1337